Raju, a 10 yrs old child, presents with predisposition to fractures, anemia, hepatosplenomegaly and a diffusely increased radiographic density of bones. The most likely diagnosis is:
1. Osteogenesis imperfecta
2. Pycnodysostosis
3. Myelofibrosis
4. Osteopetrosis

Correct answer: 4. Osteopetrosis

Explanation: The above clinical scenario gives the diagnosis of osteopetrosis. Ref: Harrison's Principles of Internal Medicine, 15th Edition, Page 2240